Lungs develop from:
1. Foregut
2. Midgut
3. Hindgut
4. None of the above

Correct answer: 1. Foregut

Explanation: When the embryo is approximately 4 weeks old, the respiratory diverticulum (lung bud) appears as an outgrowth from the ventral wall of the foregut